DMFT index in 1938 was not developed by:
1. Dean H.T.
2. Henry T. Klein
3. Knutson J.W.
4. Carole E. Palmer

Correct answer: 1. Dean H.T.